A 3 year old child presents with normal development milestones except delayed speech and poor concentration. He has difficulty in communication and relating to others and also difficulty in making friends but plays with himself. The likely diagnosis is:
1. Autism
2. ADHD
3. Specific learning disability
4. Intellectual disability

Correct answer: 1. Autism

Explanation: A. i.e. Autism